Fever of unknown origin in a farmer who raises goats would most likely be caused by which of the following organisms?
1. Brucella melitensis
2. Clostridium novyi
3. T. pallidum
4. Histoplasma capsulatum

Correct answer: 1. Brucella melitensis

Explanation: Brucella are small, aerobic, Gram-negative coccobacilli. Of the four well-characterized species of Brucella, only one-B. melitensis-characteristically infects both goats and humans. Brucellosis may be associated with gastrointestinal and neurologic symptoms, lymphadenopathy, splenomegaly, hepatitis, and osteomyelitis.